Most effective bacterial system within phagocytes is-
1. Lysozyme mediated
2. Lactoferrin mediated
3. Reactive oxygen metabolite mediated
4. Cationic basic protein mediated

Correct answer: 3. Reactive oxygen metabolite mediated

Explanation: Ans. is `c i.e. Reactive oxygen metabolite mediatedMicrobial killing (bactericidal activity) is largely mediated by oxygen dependent mechanisms. The most effective/ efficient bactericidal system within phagocytes is the oxygen dependent (H202-MPO-Halide system that mediates bacterial killing by the generation of HOCI with the help of myeloperoxidase and H202.